A clinical sign of mania is -
1. Neologism
2. Perseveration
3. Echolalia
4. Flights of ideas

Correct answer: 4. Flights of ideas